Ketone body production occurs in?
1. Cytoplasm
2. Mitochondria
3. Golgi body
4. Nucleus

Correct answer: 2. Mitochondria

Explanation: Ketogenesis Acetoacetate is the primary ketone body while beta-hydroxybutyrate and acetone are secondary ketone bodies. They are synthesised exclusivelyby the liver mitochondria.Ref: DM Vasudevan - Textbook of Biochemistry, 6th edition, page no: 143